Non-oliguric acute renal failure is commonly seen in -
1. Pre-renal azotemia
2. Aminoglycoside toxicity
3. Acute glomerulonephritis
4. Septic shock

Correct answer: 2. Aminoglycoside toxicity